Kanavel's sign is seen in -
1. Tenosynovitis
2. Trigger finger
3. Dupuytrens contracture
4. Carpal tunnel syndrome

Correct answer: 1. Tenosynovitis

Explanation: Kanavel's sign is seen in acute suppurative tenosynovitis of the little finger. It is tenderness elicited at a point in between the two palmar crease about 2.5 cm proximal to the base of the little finger.
There are also 4 Cardinal signs of Kanavel seen in acute suppurative tenosynovitis of fingers. These are:

1) Finger held in slight flexion,
2) Fusiform swelling involving entire finger,
3) Tenderness along the flexor tendon sheath, and
4) Pain with passive extension of the digit.


Tenosynovitis is inflammation of the tendon and tendon sheath.